Following is not true about Trientine-
1. Penicillamine is an acceptable alternative to the more potent trientive used for the treatment of Wilson's disease
2. It is short acting and is orally effective
3. Can cause iron deficiency
4. Iron and trientine should not be ingested within 2 hours of each other

Correct answer: 1. Penicillamine is an acceptable alternative to the more potent trientive used for the treatment of Wilson's disease

Explanation: Ans. is 'a' i.e., Penicillamine is an acceptable alternative to the more potent trientive used for the treatment of Wilson's disease o Trientine is an acceptable alternative to penicillamine (not penicillamine is an acceptable alternative to trientine) for the treatment of wilson disease. Further trientine is less potent than penicillamine. Penicillamine Vs trientine in wilson disease o Penicillamine is the drug of choice for treatment of wilson's disease. o However, the drug produces undesirable side effects and in some patients become intolerable. o Trientine is indicated especially in patients who are intolerant to penicillamine. o Trientine is less potent cupriuretic agent than penicillamine. o Trientine is orally effective and short acting. o Trientine may cause iron deficiency; this can be overcome with short course of iron therapy but iron and trientine should not be ingested within 2 hours of each other.